Under stable conditions, the relationship between incidence (I), prevalence (P), and duration (D) is given as
1. P = I x D
2. I = P x D
3. P = I + D
4. I = P + D

Correct answer: 1. P = I x D

Explanation: Prevalence = Incidence x Duration of illnessex: if the duration of illness increase (chronic diseases) prevalence increases